All of the following are true about Drug Induced Lupus in comparison to Idiopathic SLE, except:
1. More common in Females
2. Milder Disease
3. Presence of Renal or CNS Disease is rare
4. Hypocomplementemia is less common

Correct answer: 1. More common in Females

Explanation: Answer is A (More common in Females): In contrast to Idiopathic SLE, Drug Induced Lupus is less likely to affect women Drug Induced Lupus has a male to female ratio that mirrors the population receiving the drug in question (Since more men than women take drugs such as procainamide, lupus secondary to procainamide occurs more frequently in men compared with women). The gender ratio for Drug Induced Lupus mirrors the population receiving the drug in question whereas idiopathic SLE is typically more common in women. Differentiating Features Between Drug Induced Lupus and SLE The gender ratio for drug-induced LE is equal. Whereas for SLE it is clearly female predominant. Symptoms tend to be milder in Drug-Induced Lupus compared to SLE The clinical features of DIL are similar to those of late onset lupus Arthralgias, myalgias, fevers, and serositis are more common in DIL. In contrast, renal involvement, central nervous system disease, molar rash, discoid rash, photosensitivity, and oral ulcers occur less frequently in DIL. Drug-induced LE is reversible after discontinuation of the drug . Presence of Renal or CNS disease is rare The presence of Hypocomplementemia is unusual (DIL tends to be characterized by normal complement levels -Dubois). The serological findings in Drug Induced Lupus are different and absence of Antibodies against Ds DNA is typical * Almost all patients with Drug Induced Lupus will test positive for Antinuclear Antibodies (Positive ANA Test) * The spectrum of Antinuclear antibodies in Drug Induced Lupus includes o Positive Antihistone antibodies (most common; not specific; also seen in SLE) o Positive autoantibodies against single stranded DNA (common ; not specific; also seen in SLE) o Negative (absence of) autoantibodies against double stranded DNA(dsDNA) * The presence of autoantibodies against dsDNA strongly suggests a diagnosis of SLE Drug Induced Lupus is typically associated with a Homogeneous ANA pattern due to the presence of Antihistone Antibodies